Not true about retinoblastoma ?
1. Bilateral in 20-30%
2. Affects age group 1-5 years
3. More common in males
4. Leukocoria is earliest symptom

Correct answer: 3. More common in males

Explanation: Ans. is 'c' More common in males Retinoblastoma is the most common intraocular tumor in children. The tumor is confined to infancy and very young children (1-2 years). There is no sex predisposition. Retinoblastoma is unilateral in 70-75% of cases and bilateral in 25-30% of cases.